Springcatarrh is which type of hypersensitivity reaction -
1. Type I
2. Type II
3. Type II & III
4. Type IV

Correct answer: 1. Type I

Explanation: Vernal keratoconjunctivitis or spring catarrh is considered as an atopic disorder. Type I IgE mediated hypersensitivity reaction to pollen grains. Reference : comprehensive ophthalmology A K Khurana, 6 th edition,page no:79